Condylar fracture with tearing of skin is:
1. Simple fracture.
2. Compound fracture.
3. Complex fracture.
4. Comminuted fracture.

Correct answer: 2. Compound fracture.